Most common visually debilitating cataract in children:
1. Blue dot cataract
2. Zonular cataract
3. Anterior polar cataract
4. Posterior polar cataract

Correct answer: 2. Zonular cataract

Explanation: Zonular cataract is most debilitating cataract in children. Types of congenital cataract Punctate: Blue Dot Cataract (Asymptomatic). Sutural cataract : Y suture opaque, nuclear cataract. Zonular cataract/Lamellar Most Common visually significant cataract (riders). Fusiform Nuclear Coronary Anterior polar Lamellar Cataract With Rider Blue dot cataract Anterior polar cataract Posterior polar cataract